Old contamination of water is indicated by –
1. Nitrites
2. Nitrates
3. Ammonia
4. Chlorides

Correct answer: 2. Nitrates